Rubella vaccination is contraindicated in all except -
1. A patient on immunosuppressant
2. Girl with Leukemia
3. Girls between 11-14 years
4. Pregnancy

Correct answer: 3. Girls between 11-14 years

Explanation: RUBELLA VACCINE:- RA 27/3 vaccine Live attenuated Induces higher antibody titres and produces and Immune response more closely paralleling natural infection than the other vaccines. Administration-0.5 ml subcutaneously. Seroconversion occurs in more than 95% vaccines. Age group- 1-14 yrs. Infants under 1 yr should not be vaccinated due to possible interference from persisting rubella antibody. Contraindications-immunocompromised patients, leukemia, pregnancy. The recipient of immunisation should be adviced not to become pregnant in next 3 months. {Reference: park's textbook of preventive and social medicine, 23rd edition, pg no.151}